Vagina] adenosis is evident in women who had exposure to _____ in utero -
1. DES
2. Asbestos
3. Cadmium
4. Nickel

Correct answer: 1. DES

Explanation: Ans. is 'a' i.e., DES o Adenosis is found in only a small percentage of adult women, but has been reported in 35% to 96% of women exposed to DES in utero.During embryonal development, the vagina is initially covered by columnar, endocervical-type epithelium.This is normally replaced by squamous epithelium advancing upwards from the urogenital sinus.Small patches of residual glandular epithelium may persist into adult life and is recognized as vaginal adenosis. It presents clinically as red, granular areas that stand out from the surrounding normal pale-pink vaginal mucosa.On microscopic examination, adenosis consists of columnar mucinous epithelium indistinguishable from endocer- vical epithelium.